Incubation period of staphylococcal food poisoning is:
1. 4-6 hrs
2. 6-12 hrs
3. 12-18 hrs
4. 18-24 hrs

Correct answer: 1. 4-6 hrs

Explanation: Ans.is 'a' i.e., 4-6 hours (Ref: Ananthanarayan, 9th/e, p. 202 and 8th/e, p. 198)* Incubation period of staphylococcal food poisoning is 1-6 hours.* Toxin can be detected by ELISA, Latex agglutination test and toxin gene detection by PCR.